Pulseless disease
1. Microscopic polyarteritis
2. Giant cell arteritis
3. Takayasu's disease
4. PAN

Correct answer: 3. Takayasu's disease

Explanation: (C) Takayasu's # Pulses are commonly absent in the involved vessels, particularly the subclavian artery in Takayasu's. In Giant cell arteritis patients with involvement of the temporal artery, headache is the predominant symptom and may be associated with a tender, thickened, or nodular artery, which may pulsate early in the disease but may become occluded later